Blood supply of brain is ?
1. 1500 ml/min
2. 2000 ml/min
3. 750 ml/min
4. 250 ml/min

Correct answer: 3. 750 ml/min

Explanation: Ans. is 'c' i.e., 750 ml/minThe cerebral blood flow (CBF) is about 750 ml/min (15% of total cardiac output), or 54 ml/100 gm brain tissue per minute.